In porphyria all drugs are safe except –
1. Propofol
2. Midazolam
3. Afentanyl
4. Pentazocin

Correct answer: 4. Pentazocin

Explanation: Pentazocin is considered unsafe, but other opioids including morphine, codeine, pethidine, fentanyl, Alfentanil and naloxone have been used safely. Propofol and benzodiazepines (midazolam) are safe.